Which of the following is a true diverticulum of esophagus?
1. Parabronchial diverticulum
2. Epiphrenic diverticulum
3. Killian-jamieson diverticulum
4. Zenker's diverticulum

Correct answer: 1. Parabronchial diverticulum

Explanation: Traction diverticula (parabronchial or midesophageal diverticula) are true diverticula, which occur secondary to scarring, fibrosis, and inflammatory process in the mediastinum pulling on the esophageal wall. Traction or true diverticula result from external inflammatory mediastinal lymph nodes adhering to the esophagus as they heal and contract, creates traction by which the mucosa, submucosa and muscularis altogether are pulled creating a diverticula and hence it is referred to as True Diverticula. More common in the mid-esophageal region around the carinal lymph nodes. Other mentioned diverticula are false as they don't contain all layers of gut .